Predominant blood supply to the supraduodenal bile duct is derived from -
1. Vessels that run upward along the bile duct from the duodenal end of the duct such as the retroduodenal and the gastroduodenal arteries.
2. Vessels that run downward along the bile duct from the hepatic end of the duct such as the right hepatic artery.
3. Vessels that arise from the hepatic artery proper as it runs up along the common bile duct and supplies it with twigs in a non-axial distribution.
4. Vessels that arise from the cystic artery

Correct answer: 1. Vessels that run upward along the bile duct from the duodenal end of the duct such as the retroduodenal and the gastroduodenal arteries.

Explanation: Blood supply of supraduodenal bile duct
1.   Axial blood supply

The blood supply to the supraduodenal bile duct is essentially axial (98%).
The most important of these vessels run along the lateral borders of the bile duct and are called the '3 O'clock' and 9 O'clock arteries.
These, together with other smaller branches and retroportal vessels from a free anastomosis within the wall of the bile duct.
60% of the blood supply occurs from the duodenal (caudal) end of the duct primarily from branches of the retreduodenal artery (Posterior Superior Pancreaticoduodenal Artery).
38% of the blood supply occurs from the hepatic (cephalic) end of the Right Hepatic Artery.

2.   Non-axial blood supply

Non-axial blood supply accounts for only 2% of blood supply to the supraduodenal bile duct.


This non-axial blood supply is derived from branches of the hepatic artery proper as it runs along the common bile duct.